Stability of venom is dependent on :
1. H bond
2. Disulphate bond
3. Van der waal's
4. Ionic interaction

Correct answer: 2. Disulphate bond

Explanation: B i.e. Disulfide bond